Pasteurization of milk is a type of -
1. Primary prevention
2. Secondary prevention
3. tertiary prevention
4. None of the above

Correct answer: 1. Primary prevention

Explanation: Ans. is 'a' i.e., Pimary prevention * Pasteurization of milk is done to prevent bacterial infection - primary prevention